Which type of psoriasis is associated with streptococcal throat infection?
1. Pustular
2. Flexural
3. Guttate
4. Scalp

Correct answer: 3. Guttate

Explanation: ANSWER: (C) GuttateREF: Bolognia 2nd ed Ch: 9Guttate psoriasis is associated with streptococcal throat infectionGuttate psoriasis represents a common form of the disease in children. In patients with acute guttate psoriasis, a clear history of a preceding severe upper respiratory infection is obtained in around 66% of patients. In over half of the patients, an elevated antistreptolysin O, anti-DNase B or streptozyme titer is found, indicating the relevance of streptococcal infections. The prognosis of guttate psoriasis is excellent in children, with spontaneous remissions occurring over the course of weeks to months. In adults, the lesions of guttate psoriasis can become chronic.